Characteristic Direct immunofluorescence findings in Herpes gestationis is
1. Epidermal cell-surface deposits of IgG and C3
2. Linear, homogeneous deposits of IgGand C3 at the dermal-epidermal junction
3. Linear homogeneous deposits of C3 at the dermal-epidermal junction
4. Focal granular deposits of IgA at the papillary tips

Correct answer: 3. Linear homogeneous deposits of C3 at the dermal-epidermal junction

Explanation: DIRECT IMMUNOFLUORESCENCE FINDINGS IN AUTOIMMUNE BLISTERING DISEASE. Disease Pattern and nature of immunoreactants Pemphigus Epidermal cell-surface deposits of IgG and C3 giving fishnet appearance Bullous pemphigoid Linear, homogeneous deposits of IgG (epidermal side on salt-split skin) and C3 at the dermal-epidermal junction. Linear IgA dermatosis Linear homogeneous deposits of IgA at the dermal-epidermal junction Herpes gestationis Linear homogeneous deposits of C3 at the dermal-epidermal junction Epidermolysis bullosa acquisita Linear homogeneous deposits of IgG (dermal side on the salt-split skin) and C3 at the dermal-epidermal junction. Cicatricial pemphigoid Linear homogeneous deposits of IgG and C3 at the dermal-epidermal junction Dermatitis herpetiformis Focal granular deposits of IgA at the papillary tips The bullous eruption of lupus erythematosus Linear homogeneous, or non-homogeneous, deposits of multiple immunoglobulins, C3 and fibrin at the dermal-epidermal junction. (Ref. Harrison's Table 7.9) Ref Harrison 20th edition pg 1256